Causative agent of Farmer's lung is:
1. Themophilus actinomycetes
2. Aspergillus
3. Penicilliumglabrum
4. Rhizopus

Correct answer: 1. Themophilus actinomycetes

Explanation: Ans. (a) Themophilus actinomycetes(Ref: Robbins 9th/pg 689; 8th/pg 687)In farmer's lung, inhalation of proteins, such as thermophilic actinomyces bacteria and fungal spores that are present in moldy bedding and feed, are most commonly responsible for the development of Hypersensitivity pneumonitis.